Which of the following drugs are used in the treatment of Obsessive Compulsive Disorder (OCD)?
1. Clomipramine
2. Lithium
3. Olanzepine
4. None

Correct answer: 1. Clomipramine

Explanation: Fluoxetine and Clomipramine are the drugs preferred and Cognitive Behavioural Therapy is the treatment modality of choice. SSRIs help the condition by increasing the seratonin levels.